DOC for drug (phenothiazine) induced parkinsonism:
1. Levodopa
2. Benserazide
3. Benzhexol
4. Selegiline

Correct answer: 3. Benzhexol

Explanation: Ans. C i.e. Benzhexol Trihexyphenidyl/Benzhexol It is used for the symptomatic treatment of Parkinson's disease in mono- and combination therapy. It is active in postencephalitic, arteriosclerotic, and idiopathic forms. The drug is also commonly used to treat extrapyramidal side effects occurring during antipsychotic treatment. It reduces the frequency and duration of oculogyric crises as well as of dyskinetic movements and spastic contractions. Excessive salivation may also respond. Trihexyphenidyl may improve psychotic depression and mental inertia frequently associated with Parkinson's disease and symptomatic problems caused by antipsychotic treatment. The drug cannot cure Parkinson's disease, but may provide substantial alleviation of symptoms. To increase therapeutic activity trihexyphenidyl is often given concomitantly with levodopa, other antimuscarinic or antihistaminic (e.g. diphenhydramine) agents.